After normal vaginal delivery, breast feeding can be started -
1. Immediately
2. 2.5-4 hours
3. 4-6 hours
4. 1.5-2.5 hours

Correct answer: 1. Immediately

Explanation: Ans. is 'a' i.e., Immediately * Breastfeeding should ideally start soon after baby is born. A baby is usually alert after birth and will spontaneously seek the breast if left undisturbed in skin-to-skin contact with their mothers body. Research suggests that a mother should allow her baby to feed when the baby shows it is ready. This may be before they are weighed, bathed and dressed.* WHO recommends that mothers initiate breastfeeding within one hour of birth.* Babies should be placed in skin-to-skin contact with their mothers immediately following birth for at least an hour and mothers should be encouraged to recognize when their babies are ready to breastfeed, offering help if needed.